Which of the following indicates activity of ant uveitis:
1. Cells in anterior chamber
2. Circumcorneal congestion
3. Keratic precipitate
4. Corneal edema

Correct answer: 1. Cells in anterior chamber

Explanation: Ans. Cells in anterior chamber